Raised serum ferritin is seen in -
1. Leukemia
2. CRE
3. Rheumatoid arthritis
4. All of above

Correct answer: 4. All of above